Ongoing systematic collection, analysis and interpretation of data and use of this information to take action for prevention and control of disease is known as:
1. Surveillance
2. Program
3. Health Planning
4. Management

Correct answer: 1. Surveillance

Explanation: The question is self-explanatory.